Most common cause of spontaneous sub-arachnoid haemorrhage is -
1. Trauma
2. Hypertension
3. Berry aneurysm rupture
4. Raised intracranial tension

Correct answer: 3. Berry aneurysm rupture